The optic nerve is a tract of the diencephalon that is not completely myelinated until
1. 5 years after birth
2. 2 years after birth
3. 1 year after birth
4. 3 months after birth

Correct answer: 4. 3 months after birth

Explanation: The axons of the optic nerve are not completely myelinated until 3 months after birth. Myelinated axons are normally not found in the retina. The optic nerve is not a true peripheral nerve but a tract of the diencephalon; when severed, the optic nerve does not regenerate. Myelination in the central nervous system (CNS) is accomplished by oligodendrocytes; oligodendrocytes are not found in the retina.